Counterfeit drug is ?
1. Fake medicine
2. Contains the wrong ingredient
3. They have active ingredient in wrong dose
4. All the above

Correct answer: 4. All the above

Explanation: Ans. is 'd' i.e., All the above Counterfeit medicine is fake medicine. It may be contaminated or contain the wrong or no active ingredient. They could have the right active ingredient but at the wrong dose. Counterfeit drugs are illegal and may be harmful to your health.